The biggest advantage of pulp revascularisation in endodontics is
1. Achieving continued root development
2. No additional material such as TCP or MTA is required
3. No obturation is needed
4. After control of infection, it can be completed in a single visit

Correct answer: 1. Achieving continued root development